Most common presentation of cardiac lupus ?
1. Myocarditis
2. Pericarditis
3. Aortic regurgitation
4. Libman sacks endocarditis

Correct answer: 2. Pericarditis

Explanation: Answer- B. PericarditisHea (lupus calditis) - Pericarditis (most common), myocarditis, endocarditis, pericardial effusion, coronary artery disease.